Which is rheumatic arthritis autoantibody -
1. Anti DLE
2. Anti CCP
3. Anti ds DNA
4. Anti histone

Correct answer: 2. Anti CCP

Explanation: Answer is anti ccp Rheumatoid arthritis is an autoimmune disease involving complex and still poorly understood interactions of genetic risk factors, environment and the immune system. In atleast 70% of patients the blood contains anti-ccp antibody, which may be produced during inflammation. These antibodies contribute to the bone lesions. Robbins basic pathology 9th edition page no 784,heading box=Pathogenesis